Milroys disease is -
1. Edema due to filariasis
2. Post cellulitic lymphedema
3. Congenital lymphedema
4. Lymphedema following surgery

Correct answer: 3. Congenital lymphedema